Which of the following surgical therapies is least effective in treatment of myoma associated with heavy menstrual bleeding
1. Myomectomy
2. Hysteroscopic resection
3. Endometrial ablation
4. Hysterectomy

Correct answer: 3. Endometrial ablation

Explanation: Endometrial ablation technique has high failure rate.